Primary Hypothyroidism is seen in all EXCEPT
1. Iodine deficiency
2. Iodine excess
3. Lithium
4. Bexarotene

Correct answer: 4. Bexarotene

Explanation: (D) Bexarotene # Causes of Hypothyroidism> Secondary.* Hypopituitarism: tumors., pituitary surgery or irradiation, infiltrative disorders, Sheehan's syndrome, trauma, genetic forms of combined pituitary hormone deficiencies.* Isolated TSH deficiency or inactivity.* Bexarotene treatment.* Hypothalamic disease: tumors, trauma, infiltrative disorders, idiopathic.